Muscle contraction following nerve impulse involves following steps expect
1. Action potential across nerve muscle junction (NMJ)
2. Dopamine release at NMJ
3. Release of calcium form sarcoplasmic reticulum
4. Calcium initiates attractive forces between actin and myosin filament

Correct answer: 2. Dopamine release at NMJ

Explanation: Acetylcholine is the neurotransmitter in the NMJ Ref: Ganong's Review of Medical Physiology 26th edition